Neoplastic cells in Franklin disease express
1. CD5
2. CD10
3. CD55
4. CD79a

Correct answer: 4. CD79a

Explanation: Answer- D. CD79aIn classic Franklin disease, neoplastic lymphocytes, plasmacytoid lymphocytes and plasma cells can be found in lymph nodes, Waldeyer ring, gastrointestinal tract and other extranodal sites, spleen, liver, bone marrow.Systemic symptoms- fever, weight loss, weakness, anorexia, recurrent bacterial infections.Neoplastic cells in Franklin disease, are believed to represent post germinal center B cells. The neoplastic cells contain gamma heavy chains in the cytoplasm ofcells (without light chains) and express CD 79a.Neoplastic lpnphocytes in this disorder express CD20, neoplastic plasma cells in this disorder express CD 138.